Which of the following is most common among all psychiatric disorders?
1. Depression
2. Anxiety disorder
3. OCD
4. Delusional disorder

Correct answer: 2. Anxiety disorder

Explanation: Anxiety disorder are the most common among all psychiatric disorders and among the group of anxiety disorders, Phobias are the most common.